Ductus dependent blood flow is required for all of these congenital heart diseases except:
1. Persistent truncus arteriosus
2. Hypoplastic left heart syndrome
3. Pulmonary' stenosis
4. TGA with intact ventricular septum

Correct answer: 1. Persistent truncus arteriosus

Explanation: Ans. a. Persistent truncus arteriosus (Ref: V. Moan Reddy. Cardiac Surgery for premature and low birth weight neonates pediatric cardiac surgery annual of the seminars in thoracic and cardiovascular surgery 2003; 4: 271-76)Ductus dependent Mood flow is not required for persistent truncus arteriosus,"Congenital heart disease in the newborn can be broadly categorized by the relationship between the patient's cardiac defect and the patent ductus arteriosus and this categorization yields four distinct groups."Congenital heart diseasePulmonary flow ductal dependenceSystemic flow ductal dependenceOxygenation ductal dependenceDuctal independence* Newborn with congenital heart disease who are dependent on the patency of their ductus for pulmonary blood flow, present with varying degrees of cyanosis.* Critical pulmonary valve stenosis with intact ventricular septum* Tricuspid atresia* Tetralogy of fallot* These newborns are dependent on their ductus arteriosus for systemic blood flow and unlike the babies who are pulmonary flow dependent, these newborns present with severely decreased cardiac output.* This decreased systemic flow is characterized by pallor, diminished peripheral pulses, low urine output, cool extremities and varying degrees of metabolic acidosis.* Included are newborns bom with left ventricular outflow tract obstruction at various levels.* Congenital valvular aortic stenosis* Coarctation of the aorta* Interrupted aortic arch* Hypoplastic left heart syndrome (HLHS)* These are babies who are born with congenital heart disease the requires a patent ductus for adequate mixing of saturated and desaturated blood.* Transposition of great arteries* These are neonates who are not dependent on a patent ductus but still require urgent operation* Total anomalous pulmonary venous return (TAPVR)* Truncus arteriosus0* Anomalous origin of the left main coronary artery from the pulmonary artery